Recommendation of shrivasthava committe was-
1. Abolition of private practice
2. Creation of multipurpose health workers
3. Creation of PHC
4. All of the above

Correct answer: 2. Creation of multipurpose health workers

Explanation: Recommendations creation of bands of para-professional and semi-professional health workers from within the community itself establishment of 2 cadres of health workers development of a referral service complex establishment of medical and health education commission for family planning and implementing the reforms (refer pgno:875 park 23 rd edition)